Best treatment option for psoriasis is pregnancy among the following is?
1. Systemic cyclosporine
2. Topical steroids
3. PUVA therapy
4. Infliximab

Correct answer: 2. Topical steroids

Explanation: Ans. is 'b' i.e., Topical steroids Psoriasis treatment in pregnancy* Topical treatments are first-line treatments for psoriasis, and emollients, topical steroids, and dithranol are considered safe in pregnancy. Other options are vit D analogues, coal tar.* If these agents fail to control disease, Ultraviolet B (UVB)is the safest second-line agent, followed by ciclosporin.* For pustular psoriasis of pregnancy (impetigo herpatiformis), oral steroids are the DOC followed by ciclosporin.* PUVA is mutagenic and is contraindicated.* Methotrexate, acitretin, Hydroxyurea and biologies are contraindicated.